Which of the following antitubercular drug is not hepatotoxic:
1. Isoniazid
2. Rifampicin
3. Ethionamide
4. Streptomycin

Correct answer: 4. Streptomycin

Explanation: STREPTOMYCIN: It is the oldest aminoglycoside antibiotic obtained from Streptomyces griseus; used extensively in the past, but now practically restricted to treatment of tuberculosis. It is less potent (MICs are higher) than other aminoglycosides Adverse effects: About 1 / 5 patients given streptomycin 1 g BD i.m. experience vestibular disturbances. Auditory disturbances are less common. Streptomycin has the lowest nephrotoxicity among aminoglycosides; probably because it is not concentrated in the renal cortex. Hypersensitivity reactions are rare; rashes, eosinophilia,fever and exfoliative dermatitis have been noted. .-\naphylaxis is very rare. Topical use is contraindicated for fear of contact sensitization. Superinfections are not significant. Pain at injection site is common. Paraesthesias and scotoma are occasional. ESSENTIALS OF MEDICAL PHARMACOLOGY K.D.TRIPATHI SIXTH EDITION PAGE NO:722,723